All are true about ketone bodies except ?
1. Acetoacetate is primary ketone body
2. Synthesized in mitochondria
3. Synthesized in liver
4. HMG CoA reductase is the rate-limiting enzyme

Correct answer: 4. HMG CoA reductase is the rate-limiting enzyme

Explanation: Ans. is 'd' i.e., HMG CoA reductase is the rate-limiting enzyme